How to differentiate mechanical obstruction from paralytic ileus?
1. Elevation of hemi diaphragm
2. Absence of rectal shadow
3. Multiple air fluid levels
4. Abdominal distension

Correct answer: 2. Absence of rectal shadow

Explanation: Ans. (b) Absence of rectal shadowRef: Bailey and Love 26th edition, Page 1190* The important point to differentiate paralytic ileus and mechanical obstruction in X-ray is there will be absence of rectal gas shadow in mechanical obstruction.* Clinically bowel sounds will be absent in paralytic ileus with no pain.